Dermatophytes involve?
1. Stratum corneum
2. Stratum lucidum
3. Stratum malpighi
4. Stratum basal

Correct answer: 1. Stratum corneum

Explanation: Ans. is 'a' i.e., Stratum corneum See explanation-4 of session-11 of Skin of All India 2014-15 pattern of this book.